First order kinetics is:
1. Absorption of the drug is independent of the serum concentration
2. Elimination of the drug is independent of the serum concentration.
3. Elimination of the drug is proportional to the serum concentration
4. Absorption of the drug is proportional to the serum concentration

Correct answer: 3. Elimination of the drug is proportional to the serum concentration

Explanation: Ans. C: Elimination of the drug is proportional to the serum concentration. A 0-order kinetics has a rate which is independent of the concentration of the reactant(s). Increasing the concentration of the reacting species will not speed up the rate of the reaction. Zero-order reactions are typically found when a material that is required for the reaction to proceed, such as a surface or a catalyst, is saturated by the reactants. With first-order elimination, the rate of elimination is directly proportional to the serum drug concentration (SDC). There is a linear relationship between rate of elimination and SDC. Although the amount of drug eliminated in a first-order process changes with concentration, the fraction of a drug eliminated remains constant. The elimination rate constant (Kel) represents the fraction of drug eliminated per unit of time.